Which is the commonest incidentaloma detected in the liver -
1. Focal nodular hyperplasia
2. Haemangioma
3. Hepatocellular adenoma
4. Hydatid cyst

Correct answer: 2. Haemangioma